Hypertrophy is a result of
1. Increased production of cellular proteins
2. Growth factor-driven proliferation of mature cells
3. Reprogramming of stem cells
4. Decreased protein synthesis and increased protein degradation in cells

Correct answer: 1. Increased production of cellular proteins

Explanation: Hypertrophy refers to an increase in the size of cells, that results in an increase in the size of the affected organ. The hypertrophied organ has no new cells, just larger cells. The increased size of the cells is due to the synthesis and assembly of additional intracellular structural components.HypertrophyResult of increased production of cellular proteinsHyperplasiaResult of growth factor-driven proliferation of mature cellsAtrophy Results from decreased protein synthesis and increased protein degradation in cellsMetaplasiaResult of a reprogramming of stem cells that are known to exist in normal tissuesRef: Robbins and Cotran Pathologic; 9th edition; Chapter 2; Cellular Responses to Stress and Toxic Insults: Adaptation, Injury, and Death; Page no: 34